At what age upper segment  : Lower segment ratio becomes 1 : 1?
1. 3-6 years
2. 5-8 years
3. 7-10 years
4. 10-12 years

Correct answer: 3. 7-10 years

Explanation: Age
US : LS ratio




Birth
3 years
7-10 years
> 10 years
1.7 : 1
1.3 : 1
1 : 1
0.9 : 1